Serious complication in pancreatic pseudocyst include all of the following except -
1. Intracystic haemorrhage
2. Secondary infection
3. Calcification in the cyst wall
4. Rupture of the cyst

Correct answer: 3. Calcification in the cyst wall